True about bacteriophage -
1. Is a virus
2. Causes transduction
3. Causes lysis of Bacteria
4. All of the above

Correct answer: 4. All of the above

Explanation: Ans. is 'd' i.e., All of the above Bacteriophage (phage)o Bacteriophages are viruses that infect bacteria.o Phages play an important role in the transmission of genetic information between bacteria by the process of transduction.o The presence of phage genome integrated with bacterial chromosome confer bacteria certain properties by a process known as phage conversion.o Phages have been used as cloning vectors in genetic manipulation.Life cvcle of bacteriophageo Bacteriophage exhibit two types of life-cycleVirulent or lyticReplication of phage inside bacteria leads to lysis of bacteria.Temperate or nonlvtic cyclePhage DNA becomes integrated with the bacterial chromosome and multiplies synchronously with host DNA.Integrated phage genome is known as prophage.This process of integration is called as lysogeny.Bacteria harbouring prophage are called as lysogenic bacteria.The prophage confers certain new properties on lysogenic bacterium - Lysogenic conversion or phage conversionThis is due to synthesis of new proteins that are coded for by the prophage DNA.Example is Lysogenic conversion in diphtheria bacilli, which acquire toxigenicity (virulence) by lysogenisation with the beta phage.A lysogenic bacterium is resistant to reinfection by the same or related phages i.e., Superinfection immunity'.